General visceral afferent to the posterior most aspect of the tongue is by -
1. Glossopharyngeal nerve
2. Facial nerve
3. Vagus
4. Trigeminal nerve

Correct answer: 3. Vagus

Explanation: Ans. is 'c' i.e., Vagus Nerve supply of tonguePartTasteGeneral (touch and temperature)Anterior 2/3 (oral part)(except circumvallate papillae)Chorda tympani (facial nerve)Lingual branch of mandibular division of trigeminal nervePosterior 1/3 including circumvallate papillaeGlossopharyngealGlossopharyngealPosterior most partInternal laryngeal branch of vagusInternal laryngeal branch of vagus